Shingles occurs
1. primary infection
2. is unilateral
3. occurs on movable tissues
4. is bilateral

Correct answer: 2. is unilateral